Immunoglobulin isotype class switching is determined by -
1. Constant region of light chain
2. Constant region of heavy chain
3. Variable region of light chain
4. Variable region of heavy chain

Correct answer: 2. Constant region of heavy chain

Explanation: Antibody genes also re-organize in a process called class switching that changes the one type of heavy chain Fc fragment to another, creating a different isotype of the antibody that retains the antigen specific variable region Ref: Ananthanarayan & Parkers textbook of microbiology 9th edition pg: 96